Recommended concentration of flouride in school water flouridation:
1. 4.5-6.3 PPm
2. 0.7-1.2PPm
3. 2.5-3.5PPm
4. None

Correct answer: 1. 4.5-6.3 PPm